Hydrogen breath test is/ae used for
1. Lactose intolerance
2. GERD
3. H.Pylori
4. Irritable bowel syndrome

Correct answer: 1. Lactose intolerance

Explanation: Davidson's principles and practice of medicine 22nd edition. *The lactose hydrogen breath test is an useful non invasive confirmatory investigation.